Hydrophobic amino acid is
1. Alanine
2. Tyrosine
3. Glycine
4. Histidine

Correct answer: 1. Alanine

Explanation: Amino acids having non-polar side chaindthese include Alanine,Valine,Leucine,Isoleucine,Methionine,Proline,Phenylalanine and Tryptophan.These groups are HYDROPHOBIC (waater repellant) and lipidophilic REFERENCE ; DM VASUDEVAN TEXTBOOK SEVENTH EDITION PAGE NO :26